Kleptomania is a disorder of
1. Impulse
2. Mood
3. Behavior
4. None

Correct answer: 1. Impulse

Explanation: Impulse